Immediately after third stage of labour in a case of ful-term delivery, the fundus of the uterus is :
1. At the leve of Xiphisternum
2. At the leve of fumbilicus
3. Just below the level of umbilicus
4. Just above the symphysis pubis

Correct answer: 3. Just below the level of umbilicus

Explanation: Just below the level of umbilicus